Adult scabies is characterized by – a) Involve palm & solesb) Involve facec) Involve anterior abdomend) Involve web spacee) Involve genitalia
1. cde
2. acd
3. bde
4. ade

Correct answer: 1. cde

Explanation: Adult scabies involves web of fingers, flexor surfaces of wrist, ulnar border of forearm, anterior axillary fold, umblicus & periumblical regions (anterior abdomen), Genitals, upper thigh, lower part of Buttocks.
Scalp, face, Palm and soles are characteristically spared.